True about fragile X syndrome are all except ?
1. Large testes
2. Large nose
3. Large head
4. Large ear

Correct answer: 2. Large nose

Explanation: Ans. is 'b' i.e., Large nose